Immune complex mediated hypersensivitv reaction is -
1. Type-1 hypersensitivity
2. Type -2 hypersensitivity
3. Type -3 hypersensitivity
4. Type -4 hypersensitivity

Correct answer: 3. Type -3 hypersensitivity

Explanation: Ans. is 'c' i.e., Type -3 hypersensitivity o See above explanation